Drug used in Alzheimer's disease except:
1. Rivastigmine
2. Memantine
3. Donapezil
4. Clonidine

Correct answer: 4. Clonidine

Explanation: Ans: D (Clonidine) Ref: Synopsis of Psychiatry, Kaplan & Sadock, 10th edition.p.343.Expanation:Alzheimer's disease / dementia is the most common type of dementia across the globe (In India. Vascular dementia is MC).Dementia is a chronic, progressive condition characterized by:Decline in memory (Short term)Executive dysfunction (Agnosia. Aphasia and Apraxia).While many are irreversible, some have reversible causes- alcohol, head injury, deficiency states, metabolic and endocrinopathies.Alzheimer's dementia is due to progressive loss of neurons starting from basal nucleus (of Meynert) which in turn due to accumulation of neurofibrillary tangles (intracellular tau proteins) & amyloid plaques (extracellular Bamyloid) deposition.Since basal nucleus is the main place in brain where acetylcholine is synthesized (Ach is responsible for transferring immediate memory into short term memory), decline of memory is seen.Recently, aluminum has been implicated for Alzheimer's disease.Cortical dementiaSub-cortical dementiaMemory loss is early Aohassa is pronounced e.g., Alzheimer's dementiaMood & motor symptoms first Memory disturbance is late e.g., Parkinson. Lewy body diseaseThe aim of treatment of Alzheimer's disease is preservation of existing cholinergic neurons (or at least Ach by preventing its degradation - which in turn done by inhibition of Ach-estrase).The drugs used:1. Ach precursors- Choline. Lecithine2. AchE inhibitors- Donapezil. Rivastigmine, Galantamine (DRG)3. Antiglutamates - Memantine4. New drugs - Selegefine (MAOI-B type), Ondensetron, Estrogen. NSAlDs.Clonidine is a central sympatholytic (a), used to treat essential hypertension, diabetic neuropathy, Opioid withdrawal, menopausal symptoms (hot flushes).